Heating at 60degC for 30 minute would isolate:
1. Staphylococci
2. Enterococci
3. Micrococci
4. Streptococci

Correct answer: 2. Enterococci

Explanation: Enterococci